Initially, renal arteries are branches of -
1. Internal pudendal artery
2. External iliac artery
3. Common iliac artery
4. Aorta

Correct answer: 3. Common iliac artery

Explanation: Ans. is 'c' i.e., Common iliac artery o Due to ascent of kidneys during development, the blood supply of kidney changes:-Initially when the kidneys are in pelvis, the renal arteries are branches of common iliac arteries.With progressive ascent, the arteries to kidneys are derived from different levels of aorta.